Global cerebral dysfunction characterized by alteration in cognitive function and consciousness is known as
1. Acute anxiety
2. Depression
3. Delirium
4. Dementia

Correct answer: 3. Delirium

Explanation: Delirium is the commonest organic symptom seen in clinical practice. Characterised by acute onset, clouding of consciousness, disorientation, asterixis, multifocal myoclonus, occupational delirium, tone and reflex abnormalities (Ref: A short textbook of psychiatry, Niraj Ahuja, 7th edition, pg no.19). Alteration of consciousness is not seen in cases of anxiety, depression & dementia.